In chronic pancreatitis which symptom appears-
1. Weight gain
2. Steatorrhoea
3. Increased appetite
4. Diabetes insipidus

Correct answer: 2. Steatorrhoea

Explanation: Ans. is 'b' i.e., Steatorrhea Symptoms of chronic pancreatitisPain -Most common symptom usually midepigastric pain described as penetrating through to the back typically steady and boring.Nausea and vomitingAnorexiaDiarrhoea and steatorrhea-Develops when pancreatic exocrine capacity falls below 10% of normal.Steatorrhea may be first functional sign of pancreatic insufficiency.Symptoms of steatorrhea is often assoicated with weight loss.Apancreatic diabetes - (Brittle Diabetes)There is enhanced peripheral sensitivity to insulin and decreased hepatic sensitivity' to insulin.Also, there is deficiency of pancreatic glucagon to counteract hypoglycemia.o "The pancreatic endocrine product that correlates most strongly with chronic pancreatitis is the Pancreatic Polypeptide response to a test meal".